Hyperaldosteronism is associated with all except
1. Hypernatremia
2. Hypokalemia
3. Hypertension
4. Metabolic acidbsis

Correct answer: 4. Metabolic acidbsis

Explanation: Hyperaldosteronism is defined as a condition caused by overproduction of aldosterone. aldosterone is a steroid hormone that is produced by the adrenal cortex and regulates salt balance, blood volume, and blood pressure in the body.Hypernatremia is an abnormally high plasma concentration of sodium ions.Hypokalemia is defined as an abnormally low concentration of potassium ions in the blood.Hypertension is Abnormally elevated arterial blood pressure.Ref: Ganong's review of medical physiology;24th edition; page no-374